Phagocytic function is assessed by -
1. Proloiferative response to mitogen
2. Reduction of NBT (Nitroblue tetrazolium test)
3. Serum immunoglobulin assay
4. Skin test with purified protein derivative

Correct answer: 2. Reduction of NBT (Nitroblue tetrazolium test)

Explanation: Lucocytes from the patients in chronic granulomatous disease fail to reduce nitroblue tetrazolium during phagocytosis. This nitroblue tetrazolium test access the phagocytic activity of leucocytes. Reference : Anathanarayan & paniker's 9th edition, pg no: 175